Which of the following is the best inotrope agent for use in Right Heart Failure secondary to pulmonary hypertension?
1. Dobutamine
2. Digoxin
3. Milrinone
4. Halothane

Correct answer: 3. Milrinone

Explanation: Phosphodiesterase III inhibitors (Milrinone) acts a non-beta receptor pathway to effect a decrease in pulmonary vascular resistance while improving left and right contractility. Such interventions are the treatment of choice in conditions of Right Heart Failure secondary to high pulmonary vascular resistance (pulmonary hypertension). Ref: Review of Clinical Anesthesia By Neil Roy Connelly, Page 218.